A 50 year old male presents to the OPD with complaints of fever with chills, headache, abdominal pain, and diarrhoea. He gives history of consuming raw refrigerated vegetables 24 hours back. What is the most likely etiologic organism?
1. Staphylococcus aureus
2. Vibrio cholerae
3. Listeria monocytogenes
4. Bacillus cereus

Correct answer: 3. Listeria monocytogenes

Explanation: The given clinical picture is suggestive of food poisoning caused by Listeria monocytogenes. This organism can grow at low refrigeration temperatures. Listeria moves from cell-to-cell using host cell actin framework. Shows tumbling motility at 25degC. The drug of choice is high dose intravenous ampicillin. Reference: Ananthanarayan and Paniker's Textbook of Microbiology Tenth edition